Bullet entry wound, for bullet entering at acute angle is identified by what shape of abrasion collar ?
1. Circular
2. Rectangular
3. Oval
4. None of the above

Correct answer: 3. Oval

Explanation: Ans. is `c' i.e., Oval If bullet enters at acute angle to the skin then the abrasion collar is oval and if the bullet enters at right angle to the skin the abrasion collar is circular.